Alpha 1 anti -trypsin in stool is indicative of:
1. Protein losing enteropathy
2. Chronic pancreatitis
3. Acute pancreatitis
4. Whipple disease

Correct answer: 1. Protein losing enteropathy

Explanation: Alpha-1-antitrypsin (a-1-AT)- glycoprotein, which is produced by the liver, intestinal macrophages, monocytes and mucous membrane cells of the gut. Belongs acute phase proteins Lack of a-l-AT-enhanced proteolysis. . Measurement of a-1-AT in stool reflects the permeability of the gut during inflammatory processes.